Charcot's triad
1. Fever, abdominal pain, jaundice
2. Fever, vomiting, jaundice
3. Fever, jaundice, abdominal distension
4. Fever, diarrhoea, jaundice

Correct answer: 1. Fever, abdominal pain, jaundice

Explanation: Charcot's triad is seen in cholangitis It is characterized by Abdominal pain Jaundice Fever Reynold's pentad Charcot's triad Altered mental status. Shock (hypotension) Ref: Sabiston 20th edition Pgno :1507